In an adult male, on per rectal examination, the following structures can be felt anteriorly except:
1. Internal iliac lymph nodes
2. Bulb of the penis
3. Prostate
4. Seminal vesicle when enlarged

Correct answer: 1. Internal iliac lymph nodes

Explanation: Internal iliac lymph nodes can be palpated laterally when they are enlarged & not anteriorly Ref: Anatomy Workbook By Colin Hinrichsen, Peter Lisowski, 2007, Page 103